Morphologic features of celiac disease include all, except-
1. Increase in intra-epithelial lymphocytes
2. Increase crypt: villous ratio
3. Distended macrophages with PAS positive granules in lamina propria
4. Elongated, hyperplastic and tortuous crypts

Correct answer: 3. Distended macrophages with PAS positive granules in lamina propria

Explanation: Ans. is 'c' i.e., Distended macrophages with PAS positive granules in lamina propria